Snowman appearance on x-ray is seen in which cardiac pathology -
1. Fallots tetralogy
2. TAPVC
3. TGA
4. Ebstein's anomaly

Correct answer: 2. TAPVC

Explanation: Ans. is 'b' i.e., TAPVC o Snowman's sign is seen in supracardiac TAPVC.Cardiac configrationo "Boot-shaped" heart (cour en sabot)o "Egg on side" heart ("egg in cup" heart)o "Egg in cup" Hearto "Snowman" sign ("figure of 8, or cottage loaf" sign)o "Ground - glass" appearance of lungo "Sitting-duck" hearto "Water-bottle" or flashed shaped or money bag hearto "Box-shaped" hearto Tubular hearto "Tear -drop" hearto "Cor-triatum"o "Jug handle" appearanceo "Pentagon-shaped" hearto "Triangular-shaped" heartFallot's tetralogyTransposition of great arteriesConstrictive pericarditisSupracardiac TAPVCObstructive TAPVCPersistent truncus arteriosusPericardial effusion, hypothyroidismTricuspid atresia, Ebstein's anomalyAddison's disease, emphysemaChronic emphysemaPulmonary vein obstructionPrimary pulmonary hypertensionMitral incompetenceConstrictive pericarditis